True statements about ABPA include all of the following, Except:
1. Serum IgE > 1000 ng/ml
2. Eosinophils > 1000/mm3
3. Elevated IgG antibodies
4. Lower lobe predominance

Correct answer: 4. Lower lobe predominance

Explanation: Answer is D (Lower lobe predominance): ABPA predominant involves the upper lobes and not lower lobes Upper Lobe Predominance 'ABPA Lesions are either focal or bilateral and tend to occur more frequently in Upper lobes' - Fishman's 41h/2296 Proximal (central) Branchiectasis is a charachteristic feature 'Presence of proximal (central) bronchiectasis which is charachterized by normal filling of bronchii distal to the saccular bronchial lesion is considered a hallmark for diagnosis of ABPA' - Fishman's 4th/2296 IgE > 1000 ng/ml, Eosinophils >1000/mm3 and elevated 12G/12M antibodies are all criteria for diagnosis of ABPA